Which of the following is FALSE regarding stretch reflex?
1. Stretch of the muscle initiates the reflex
2. Relaxation of the muscle is the response
3. Muscle spindle is the sense organ
4. Impulse are conducted by fast sensory fibres

Correct answer: 2. Relaxation of the muscle is the response

Explanation: Stretch reflex: When a muscle is stretched there is reflex contraction of the stretched muscle. Reflex is initiated by the stretch of the muscle and the respone is contraction of the muscle that is being stretched. Muscle spindle is the sense organ for this reflex and the impulse are carried by the fast sensory fibres to the CNS. Ref: Ganong's Review of Medical Physiology, 21st Edition, Page 130